Vi Phage typing is done for-
1. Salmonella
2. Streptococcus
3. Shigella
4. Pseudomonas

Correct answer: 1. Salmonella

Explanation: 'Vi' phage typing is done for salmonella Phage typing is also done for - Vibrio cholerae Staphylococcus aureus Salmonella typhi Brucella C.Diphtheria Pseudomonas- morphotyping is done